Which of the following condition is most commonly associated with the development of renal vein thrombosis?
1. Diabetic nephropathy
2. Membranous glomerulopathy
3. Post streptococcal glomerulonephritis
4. Membrano-proliferative glomerulonephritis

Correct answer: 2. Membranous glomerulopathy

Explanation: Renal vein thrombosis occur as a complication of nephrotic syndrome, particularly membranous nephropathy. Patients with renal vein thrombosis presents with flank pain, tenderness, hematuria, rapid decline in renal function and proteinuria or it can be silent. The left renal vein is more commonly involved. Diagnostic screening can be performed with Doppler ultrasound. The most sensitive test is CT angiography. Ref: Smith's General Urology By Emil A. Tanagho and Jack W. McAninch, 17th Edition, Chapter 32; A Color Handbook of Renal Medicine By Fernando Fervenza, Page 31; Harrisons Internal Medicine, 18th Edition, Page 2382